Which primary tooth generally erupts last?
1. Maxillary second molar.
2. Mandibular second molar.
3. Maxillary canine.
4. Mandibular canine.

Correct answer: 1. Maxillary second molar.

Explanation: Textbook chronologies indicate that the maxillary primary second molar is most commonly the last  to erupt:

24 months (Woelfel and Scheid, 2002)
20 to 30 months (Kraus et al., 1969)
25 to 33 months (Ash and Nelson, 2003)